In rabies, human diploid cell culture vaccine for post-exposure vaccination is given on the following days -
1. 0, 7, 28 then booster dose in 90 days
2. 0, 7, 28 then booster dose in 2 days
3. 0, 3, 7, 14, 30 then booster dose in 90 days
4. 0, 3, 7 and booster dose in 90 days

Correct answer: 3. 0, 3, 7, 14, 30 then booster dose in 90 days

Explanation: Post exposure prophylaxis(HDCV) requires 5 or 6 doses on 0,3,7,10,14,30&Optionally90. REF:
ANATHANARAYANAN MICROBIOLOGY NINTH EDITION PAGE.531